In a Standard deviation of 2, confidence limit is
1. 68.30%
2. 95.40%
3. 99.70%
4. 76.20%

Correct answer: 2. 95.40%

Explanation: Normal Curve This is a normal distribution curve in which 95% of the population falls between -2SD and +2SD. Confidence limits are the upper and lower boundaries of a confidence interval. Confidence interval is the interval within which a parameter value is expected to lie with certain confidence levels, as could be revealed by repeated samples.